Drug resistance transfer by bacteriophage involves-
1. Transduction
2. Conjugation
3. Transformation
4. Convocation

Correct answer: 1. Transduction

Explanation: Ans. is 'a' i.e., Transduction